The skin changes seen in protein energy malnutrition can be due to deficiency all of the following nutrients except –
1. Zinc
2. Tryptophan
3. Essential fatty acids
4. Pyridoxine

Correct answer: 4. Pyridoxine